Shortest acting mydriatic is:
1. Atropine
2. Pilocarpine
3. Tropicamide
4. Acteazolamide

Correct answer: 3. Tropicamide

Explanation: Tropicamide